Kala-agar is transmitted by -
1. Reduvid bug
2. Sandfly
3. Tsetse fly
4. Mosquito

Correct answer: 2. Sandfly

Explanation: Ans. is 'b' i.e., Sandfly Diseases transmitted by sandflv Kala-azar Sand-fly fever o Oriental sore o Oraya fever